Trigone of urinary bladder and posterior wall of urethra develop from -
1. Urogenital sinus
2. Vesicourethral canal
3. Mesonephric duct
4. Paramesonephric duct

Correct answer: 3. Mesonephric duct

Explanation: Ans. is 'c' i.e., Mesonephric duct o The urinary bladder (except trigone) is derived from vesicourethral canal, cranial part of urogenital sinus (endodermal). Trigone is derived from Absorbed part of Wolffian duct/mesonephric duct (mesodermal).o Development of urethra is as followsA) Prostatic urethra and membranous urethra# Anterior wall of prostatic urethra above the opening of prostatic utricle - from vesicourethral canal (endoderm).# Anterior wall of prostatic urethra below the opening of prostatic utricle and whole of the membranous urethra-* from definite urogenital sinus (endoderm)# Posterior wall of prostatic urethra - from mesonephric/wolffian duct (mesodermal).B) Penile urethra# Upto the glans - from phallic part of urogenital sinus (endoderm).# In the glans - from ectodermal urethral groove (ectoderm).